Best time to screen in Breast self examination (BSE) technique is
1. 1 week before the menstruation
2. During ovulation
3. 2-3 days post-ovulation
4. 1 week after the menstruation

Correct answer: 4. 1 week after the menstruation